Brucella abortus primarily affects
1. Dog
2. Cattle
3. Swine
4. Goat

Correct answer: 2. Cattle

Explanation: Ans. is 'b' i.e., Cattle Human brucellosis is a zoonosis, acquired from animals directly or indirectly. The animals that commonly act as sources Sheep, goat and camel Cattle or Buffalo Swine Dog Br melitensis Br. abortus Br suis Br canis